Wernicke's encephalopathy is due to deficiency of -
1. Folic acid
2. Thiamine
3. Ascorbic acid
4. Pyridoxine

Correct answer: 2. Thiamine

Explanation: Ans. is 'b' i.e., Thiamine Wernike's encephalopathyo This is caused by thiamine deficiency.o There are acute degenerative changes in thalamus, hypothalamus and mammillary bodies,o Signs are: confusion, ocular paresis and nystagmus, staggering gait and peripheral neuropathy.